Chief regulator of systemic iron homeostasis:
1. Ferritin
2. Hepcidin
3. Haptoglobin
4. Transferrin

Correct answer: 2. Hepcidin